Expressed emotionally is related to which of the following illnesses?
1. Depression
2. Schizophrenia
3. Mania
4. Somatoform disorder

Correct answer: 2. Schizophrenia

Explanation: "Expressed emotions" is a term which is used to describe certain attitudes of family members of patients with Schizophrenia, which have an impact on the illness itself. Family inveions are done in psychosocial treatment of schizophrenia. These attitudes includes over involvement (excessive and pathological involvement with the patient), hostility (hostile attitude towards the patient), passing critical comments (making negative comments about the patient), etc.